A patient presents with hyperacusis, loss of lacrimation and loss of taste sensation in the anterior 2/3rd of the tongue. Oedema extends up to which level of facial nerve -
1. Vertical part
2. Vertical part proximal to nerve to stapedius
3. Vertical part and beyond nerve to stapedius
4. Proximal to geniculate ganglion

Correct answer: 4. Proximal to geniculate ganglion

Explanation: The patient is presenting with : -


Hyperacusis: - Nerve to stapedius is involved.
Loss of taste sensation in anterior 2/3 of tongue → Chorda tympani is involved.
Loss of lacrimation → Greater superficial petrosal nerve is involved.


Thus, the lesion is at or proximal to geniculate ganglion.